The progression of which of the following diseases is retarded by chronic use of enalapril ?
1. Diabetic nephropathy
2. Diabetic retinopathy
3. Hypertensive nephropathy
4. All of the above

Correct answer: 4. All of the above